All are oncogenic viruses except:
1. Hepatitis C
2. Ebstein Barr virus
3. Human Metapneumovirus
4. Papillomavirus

Correct answer: 3. Human Metapneumovirus

Explanation: Ans: C (Human Metapneumovirus) Ref: Robbins and Cotran 'Pathologic Basis of Disease 8th Edition. Elsevier. 201. Pg 313.Explanation:Oncogenic RNA VirusesHuman T-Cell Leukemia Virus Type 1 - T-cell leukemia/lymphomaHepatitis C Virus - Hepatocellular Carcinoma Oncogenic DNA VirusesHuman Papillomavirus.Types 1. 2. 4 & 7 - Benign Squamous Papillomas ( Warts)Types 16 & 18 - squamous cell Ca of the cervix and anogenital areaHuman herpes virus 8 - Kaposi SarcomaEpstein-Barr VirusThe African form of Burkitt lymphoma;B-cell lymphomas in immunosuppressed individualsA subset of Hodgkin lymphoma;Nasopharyngeal carcinomaGastric carcinomas and rare forms ofT cell lymphomas andNatural killer (NK) cell lymphomas.Hepatitis B Virus - Hepatocellular CarcinomaMerkel cell polyomavirus - Merkel Cell CarcinomaOncogenic BacteriaHelicobacter pylori - gastric adenocarcinomas and gastric lymphomas